The immediate precursor in the formation of acetoacetate from acetyl-CoA in the liver is:
1. Mevalonate
2. HMG-CoA
3. Acetoacetyl-CoA
4. 3-hydroxyl-butyryl-CoA

Correct answer: 2. HMG-CoA

Explanation: Ans. B. HMG-CoA(Ref: Harper 31/e page 210)Hydroxy-3-methylglutaryl-CoA lyase then causes acetyl-CoA to split off from the HMG-CoA, leaving free acetoacetate.